Cryoprecipitate is a rich source of -
1. Thromboplastin
2. Factor VIII
3. Factor X
4. Factor VII

Correct answer: 2. Factor VIII